Watershed zone of large intestine -
1. Cecum
2. Ascending colon
3. Rectosigmoid
4. Transverse colon

Correct answer: 3. Rectosigmoid

Explanation: Ans. is 'c' i.e.. Rectosigmoid o There are areas of colon with poor blood supply resulting from incomplete anastomosis of marginal arteries. These are watershed areas of colon and include :1. Splenic flexure (Griffith point): Watershed area between superior mesenteric artery and inferior mesenteric artery.2. Rectosigmoid junction (Sudeck's point) : Watershed zone between inferior mesenteric artery and internal iliac artery.